Epidemic conjunctivitis is reported in a rural area. What is the most probable causative organism?
1. Adenovirus
2. Herpes virus
3. EB virus
4. Papilloma virus

Correct answer: 1. Adenovirus

Explanation: Adenovirus infection is often associated with pharyngitis, a follicular reaction and injection of the palpebral conjunctiva, and preauricular adenopathy (pharyngoconjunctival fever). Epidemics of adenoviral keratoconjunctivitis occur. Ref: Braverman R.S. (2012). Chapter 16. Eye. In W.W. Hay, Jr., M.J. Levin, R.R. Deterding, J.J. Ross, J.M. Sondheimer (Eds), CURRENT Diagnosis & Treatment: Pediatrics, 21e.